Which of the following is not suggestive of pulmonary embolism
1. Pleuritic chest pain
2. Tachypnea
3. Hemoptysis
4. Wheeze

Correct answer: 4. Wheeze

Explanation: Symptoms of Acute pulmonary embolism: Small emboli asymptomatic Large emboli fatal Sudden onset breathlessness (most common) Pleuritic chest pain Hemoptysis Syncope Signs of Acute pulmonary embolism: tachycardia Tachypnea Pleural rub Hypotension &raised Jvp. Source : HARRISON 20 th edition